Denominator for calculating proportional mortality rate from a specific disease is
1. Midyear population during that year
2. Population at risk in that particular area
3. Total deaths in that year
4. Attributable deaths of a particular disease

Correct answer: 3. Total deaths in that year

Explanation: Proportional mortality rate (ratio)from a specific date is used to know the proportion of total deaths are due to a particular cause= number of deaths from the specific disease in a year / total deaths from all causes in that yearPark 23e pg: 58